Value of one parameter can be estimated from another related parameter by:-
1. Bar chart
2. Correlation
3. Scatter diagram
4. Regression

Correct answer: 4. Regression

Explanation: Regression: Structure of exact relationship b/w two variables. Value of one variable in an individual case can be known from value of another variable. y= a + bx ;x= independent variable ; a=constant ; b= regression coefficient]. Types of regression: Simple linear regression - y= a + bx Simple curvilinear regression - y= a + bx3 Multiple linear regression - y = a + bx1 + cx2 + dx3 Multiple curvilinear regression - y = a + bx12 + Cx2 +dx39 Simple - only 1 independent variable. Multiple - >1 independent variable. Linear - independent variable has no power . Curvilinear - Atleast one independent variable has power.